Sequential steps for resective osseous surgery are
1. radicular blending, vertical grooving, flattening interproximat bone, gradualizing marginal bone
2. vertical grooving, flattening interproximal bone, gradualizing marginal bone, radicular blending
3. vertical grooving, radicular blending, flattening interproximal bone, gradualizing marginal bone
4. vertical grooving, radicular blending, gradualizing marginal bone, flattening interproximal bone

Correct answer: 3. vertical grooving, radicular blending, flattening interproximal bone, gradualizing marginal bone